Duct of Wirsung is:
1. Parotid duct.
2. Common bile duct
3. Main Pancreatic duct
4. Accessory Pancreatic duct

Correct answer: 3. Main Pancreatic duct

Explanation: Ans. C. Main Pancreatic ductThe pancreatic duct, or duct of Wirsung (also, the major pancreatic duct), is a duct joining the pancreas to the common bile duct to supply pancreatic juice provided from the exocrine pancreas, which aids indigestion. The pancreatic duct joins the common bile duct just prior to the ampulla of Vater, after which both ducts perforate the medial side of the second portion of the duodenum at the major duodenal papilla.Most people have just one pancreatic duct. However, some have an additional accessory pancreatic duct, called the Duct of Santorini. An accessory pancreatic duct can be functional or non-functional and may open separately into the second part of the duodenum which is dorsal and usually (in 70%) drains into the duodenum via the minor duodenal papilla. In the other 30% it drains into the main pancreatic duct.